Kata thermometer is used to measure:
1. Air pressure
2. Degree of hotness in air
3. Air cooling power
4. Air density

Correct answer: 3. Air cooling power

Explanation: Ans. C: Air cooling power A kata thermometer measures the cooling power of the environment; it is used to estimate the personal comfort of workers. A spirit-in-glass thermometer it used: its bulb is heated to above body temperature, removed from the heat source and allowed to cool. The time taken for the thermometer reading to drop from above to below normal body temperature (e.g., from 38 degC to 35degC) is used to calculate the cooling power of the atmosphere, using a calibration factor F engraved on the thermometer by the manufacturer. Cooling power = F/(time of cooling).